Most common manifestation of cardiac lupus is -
1. Myocarditis
2. Libman-Sacks endocardits
3. Pericarditis
4. Aortic regurgitation

Correct answer: 3. Pericarditis

Explanation: Cardiovascular Manifestations of SLE The most common manifestation is pericarditis. Myocarditis and Libman-Sacks endocarditis can also occur. The endocarditis is due to accumulation on the heart valves of sterile fibrin containing vegetations, which is thought to be a manifestation of hypercoagulability associated with antiphospholipid antibodies. The risk of atherosclerosis is greatly increased, as is the risk of stroke and myocardial infarction. REF - DAVIDSONS MEDICINE 23E P2517